In a male after laparoscopic cholecystectomy, specimen is sent for histopathology which shows carcinoma Gallbladder stage IB. Appropriate management
1. Conservative and follow up
2. Extended cholecystectomy
3. Excision of all port sites
4. Radiotherapy

Correct answer: 2. Extended cholecystectomy

Explanation: Treatment of carcinoma Gallbladder Gallbladder cancer: Incidental pathological finding after laparoscopic cholecystectomy T1a with negative cystic duct margin : No further therapy T1a with postive cystic duct margin : Reresection of cystic duct or CBD to negative margin T1b, T2, T3 tumor with no evidence of metastasis : Reresection, extended cholecystectomy (possible CBD or extended hepatic resection) T4: Extended cholecystectomy with extended right hepatectomy N2 or M1 disease : Clinical trial (Chemoradiation or chemotherapy) in good performance status. Laparoscopic trocar site scars are excised for staging purpose to identify M1 disease than for any potential therapeutic benefit Ref: Sabiston 20th edition Pgno : 1512-1514